Lining Epithelium of respiratory bronchiole is
1. Pseudo Stratified Columnar with Goblet Cells
2. Pseudo Stratified Columnar
3. Columnar
4. Cuboidal

Correct answer: 4. Cuboidal

Explanation: The Bronchioles are subdivided into terminal bronchioles which further divides to form respiratory bronchioles. Respiratory bronchiole is the smallest bronchiole & it is lined with Simple Cuboidal Cells.